Post exposure immunization is given in -a)  Rabiesb)  Pertussisc)  Measlesd)  Yellow fever
1. b
2. ac
3. ab
4. bd

Correct answer: 2. ac